Interaction of histamine with  H2 receptor in parietal cell results in
1. Increase in intracellular Na+ concentration
2. Increase in intracellular CAMP production
3. Increase in intracellular Ca2+ concentration
4. Stimulates IP3 - DAG pathway

Correct answer: 2. Increase in intracellular CAMP production